A new born is noted to have a large head and short limbs. On further examination, short broad fingers, a small face, and low-normal length are noted. The trunk appears long and narrow. To confirm the diagnosis you should
1. Order an ophthalmologic examination
2. Obtain skeletal radiographs
3. Order choromosome analysis
4. Examine the parents

Correct answer: 2. Obtain skeletal radiographs

Explanation: Achondroplasia is the diagnosis 1st Achondroplasia is a genetic disorder that results in dwarfism. Obtain skeletal radiographs Ref : Nelson paediatrics